When teaching a client about pancreatic function, the nurse understands that pancreatic lipase performs which function?
1. Transports fatty acids into the brush border
2. Breaks down fat into fatty acids and glycerol
3. Triggers cholecystokinin to contract the gallbladder
4. Breaks down protein into dipeptides and amino acids

Correct answer: 2. Breaks down fat into fatty acids and glycerol

Explanation: Lipase hydrolyses or breaks down fat into fatty acids and glycerol. Lipase is not involved with the transport of fatty acids into the brush border. 
Fat itself triggers cholecystokinin release. Protein breakdown into dipeptides and amino acids is the function of trypsin, not lipase.